Infantile glaucoma true is all except?
1. Haab's Striae are seen
2. Cornea is hazy
3. Aniridia is seen
4. Blue sclera may be seen

Correct answer: 3. Aniridia is seen

Explanation: Ans. is 'c' i.e., Aniridia is seen o On examination following findings are therei) First sign is corneal edema with watering of eye with marked photophobia.ii) Haab striae (Discrete corneal opacities appear as lines with double contour due to rupture in Descemet's membrane).iii) Cornea is hazy with frosted glass appearance.iv) Corneal enlargementv) Thin & blue scleravi) Deep anterior chambervii) Lens is antero- posteriorly flat and may be subluxated backward, viii) Iridodonesis (tremulous iris) and atrophic patch on iris.ix) Large eye (Buphthalmos or hydrophthalmos)x) Variable cupping and atrophy of discxi) Raised IOP (neither acute nor marked)